True statement regarding objectives of Sterilisation beds programme is -
1. To have 2000 beds by 1987
2. To provide Rs. 1000/- per bed
3. To provide Sterillisation facilities to hospitals where they arc not available
4. Voluntary agencies not included in the provision of facilities

Correct answer: 3. To provide Sterillisation facilities to hospitals where they arc not available

Explanation: Ans. is `c' i.e., To provide Sterillisation facilities to hospitals where they are not available Sterlization bed scheme A scheme for reservation of sterilization beds in Hospitals run by Government, local bodies and voluntary organization was introduced as early as in the year 1964 in order to provide immediate facilities for tubectomy operations in hospitals where such cases could not be admitted due to lack of beds etc. o But later with the introduction of the post partum programme some of the beds were transferred to Post partum programme and there after the beds were only senctioned to hospitals run by local bodies and voluntary organizations. o Ai present 301 voluntary organizations participating in the scheme. o The grant for maintenance of the sterlization beds has been raised from 4500 Rs to 6000 Rs per bed per annum with effect from 07/02/2001 for the institution/Local bodies/Voluntary organization participating under the scheme subject to the condition that a minimum of 60 tubectomies per bed per annum are achieved. o If the local bodies / Voluntary organization fails to achieve the above mentioned target but achieves a level of 45 tubectomies per bed per annum, the maintenance grant Rs 4000 per bed per annum is admissible. o If the performance of an institution is below the target level of 45 tubectomies per bed per annum, proportionate grant at the norm of 45 tubectomies per bed per annum and at the rate of Rs 3000 per bed per annum would be admissible.